Which of the following is a Red flag sign in child's development if not attained ?
1. Vocalization at 2 months
2. Walking at 12 months
3. Single word at 12 months
4. Social smile at 6 months

Correct answer: 4. Social smile at 6 months

Explanation: Red flag signs for important milestones Gross motor Fine motor Sitting with support 9 months Pincer grasp 12 months Standing with support 12 months Scribbling 24 months Walking with support 15 months Walking without support 18 months Language Social Babbling 12 months Social smile 6 months Single words 16 months Waving bye bye 12 months CAUTION : TIMING FOR USUAL APPEARANCE OF REFLEX IS NOT SAME AS TIMING FOR LABELLING IT AS RED FLAG SIGN Red flag sign means the upper limit for age at which reflex if not present - is abnormal